Which of the following is the most likely explanation for the dental abnormalities in bulimia nervosa (BN)?
1. self-induced physical trauma
2. self-induced vomiting
3. excess cortisol levels
4. osteoporotic changes

Correct answer: 2. self-induced vomiting

Explanation: Recurrent vomiting and exposure of the teeth to stomach acid leads to loss of dental enamel and eventual chipping and erosion of the teeth. The vomiting may be manually induced, but eventually most patients with bulimia (BN) are able to trigger vomiting at will.